All of the following statements regarding Gleason score are true, EXCEPT:
1. Used for grading prostate cancer
2. Scores range from 1-10
3. Higher the score, poorer the prognosis
4. Helps in planning management

Correct answer: 2. Scores range from 1-10

Explanation: Gleason score ranges from 2 to 10. Gleason score and grading system: Gleason score is the most commonly used histological grading system for prostate cancer. The two most predominant histological patterns of the prostate cancer are assigned a Gleason grade ranging from 1 - 5. Primary grade is assigned to the pattern of cancer that is most commonly observed in the histological slides of the specimen. Secondary grade is assigned to the second most commonly observed pattern in the specimen. Gleason score is the sum of the two grades. Thus it is also known as Gleason sum. If the entire specimen has only one pattern present, then both the primary and sencondary grades are reported as the same grade. As Gleason grades range from 1 to 5, Gleason score thus range from 2 to 10. The Gleason score is used to help evaluate the prognosis of men with prostate cancer. Together with other parameters, the Gleason score is incorporated into a strategy of prostate cancer staging which predicts prognosis and helps guide therapy.